Which of the following tendons has attachments on sustenticulum Tali -
1. Tibialis Anterior
2. Tibialis Posterior
3. Flexor digitorum longus
4. Flexor hallucis longus

Correct answer: 2. Tibialis Posterior

Explanation: Attachments on sustenticulum tali.
Deep part of Flexor retinaculum attaches to the margins of groove on the lower surface.
Medial head of flexor digitorum accessories is attached distal to the groove.
On the medial margin
o   Anteriorly spring ligament
o   Tibialis posterior in the middle
o   Superficial fibers of deltoid ligament
o   Medial talocalcaneal ligament